Bilateral (B/I) recurrent laryngeal nerve palsy is/ are caused by -a) Thyroid surgeryb) Thyroid malignancyc) Aneurysm of arch of aortad) Viral infectione) Mitral valve surgery
1. acd
2. abd
3. abc
4. ab

Correct answer: 2. abd

Explanation: Causes of bilateral recurrent laryngeal nerve paralysis are thyroid surgery, thyroid carcinoma, cancer cervical esophagus, cervical lymphadenopathy.

About option 'c'

Bilateral neuritis due influenza, EBV or EBV cause bilateral vagus nerve involvement which results in bilateral complete (RLN as well as SLN) paralysis.